Myaesthenia gravis is associated with:
1. Decreased acetylcholine at nerve endings
2. Decreased myosin
3. Absent troponin C
4. Decreased myoneural junction transmission

Correct answer: 4. Decreased myoneural junction transmission

Explanation: Answer is D (Decreased Myoneural junction transmission): The primary defect in Myaesthenia gravis is decreased transmission across the myoneural junction due to decrease in the number of Acetylcholine receptors. The fundamental defect is Myaesthenia gravis is a decrease in the number of Acetylcholine Receptors at the postsynaptic muscle membrane, which results in decreased efficiency of neuromuscular transmission' -- Harrison